In pure tone audiogram the symbol X is used to mark-
1. Air conduction in right ear
2. Air conduction in left ear
3. Bone conduction in right ear
4. No change in air conduction in right ear

Correct answer: 2. Air conduction in left ear